You are posted as an intern in causality.Which among the following patients with fracture will be your 1st priority to call ortho PG and inform?
1. Patient's finger is blackening
2. Patient can't extend his arm
3. A 10 cm abrasion
4. Intra articular fracture of Elbow Joint

Correct answer: 1. Patient's finger is blackening

Explanation: Blackening of finger after Fracture is an indication of cut of of blood supply that may lead to severe complication like gangrene. So this should be the first Priority to treat among all the above options REF : MAHESWARI 9TH ED